Rate limiting step in cholesterol synthesis is?
1. HMG CoA synthetase
2. HMG CoA reductase
3. Thiokinase
4. Mevalonate kinase

Correct answer: 2. HMG CoA reductase

Explanation: Ans. (b) HMG CoA reductaseRef Harper Biochemistry 29/e, / 251, 254